A 18 month baby can do?
1. Hide 8t seek game
2. Write Alphabet
3. Say short sentence
4. Walk short distance

Correct answer: 4. Walk short distance

Explanation: ANSWER: (D) Walk short distanceREF: Nelson 18th ed chapter 10In questions like this we must see milestones achieved on or before 18 months.Option (A) Play increases in complexity and imagination, from simple imitation of common experiences, such as shopping and putting baby to bed (2 or 3 yr of age), to more extended scenarios involving singular events, such as going to the zoo or going on a trip (3 or 4 yr of age), to the creation of scenarios that have only been imagined, such as flying to the moon (4 or 5 yr of age). By age 3 yr, cooperative play is seen inactivities such as building a tower of blocks together; later, more structured role-play activity, as in playing house, is seen. Play also becomes increasingly governed by rules, from early rules about asking (rather than taking) and sharing (2 or 3 yr of age), to rules that change from moment to moment, according to the desires of the players (4 and 5 yr of age), to the beginning of the recognition of rules as relatively immutable (5 yr of age and beyond).Option (B) By 6 years of age a child should be able to write the alphabetOption (C) Child starts speaking short sentences from 19 months onwardsOption (D) Child starts walking short distance from 13-15 months